All are true about Creutzfeldt-Jacob Disease EXCEPT
1. It is a Prion disease
2. Non-fatal neuro degenarative condition
3. Dementia, involuntary movements, blindness, weakness, and coma can occur
4. There is no specific treatment.

Correct answer: 2. Non-fatal neuro degenarative condition

Explanation: (B) Non-fatal neurodegenerative condition# Creutzfeldt-Jakob disease (CJD)> It is a rare, degenerative, invariably fatal brain disorder.> It affects about one person in every one million people per year worldwide.> CJD is a universally fatal brain disorder.> Early symptoms include memory problems, behavioral changes, poor coordination, and visual disturbances. Later dementia, involuntary movements, blindness, weakness, and coma occur.> About 90% of CJD people die within a year of diagnosis.> CJD is believed to be caused by a protein known as a prion.>Infectious prions are misfolded proteins that can cause normally folded proteins to become misfolded.> Most cases occur spontaneously, while about 7.5% of cases are inherited from a person's parents in an autosomal dominant manner. Exposure to brain or spinal tissue from an infected person may also result in spread> No evidence that CJD can spread between people via normal contact or blood transfusions.# Diagnosis invoives: EEG -- has characteristic generalized periodic sharp wave pattern (-80% of patients by 6 months). CSF anaiysis for 14-3-3 protein MRI of the brain--often shows high signal intensity in the caudate nucleus and putamen bilaterally on T2-weighted images.> There is no specific treatment Opioids may be used to help with pain, while clonazepam or sodium valproate may help with involuntary movements. CJD affects about one per million people per year. Onset is typically around 60 years of age. It is classified as a type of transmissible spongiform encephalopathy. CJD is different from bovine spongiform encephalopathy (mad cow disease) and variant Creutzfeldt-Jakob disease (vCJD). Most people with CJD will die within a year of the symptoms starting, usually from infection.> This is because the immobility caused by CJD can make people with the condition vulnerable to infection.